All true about classical Rapid sequence induction except
1. Preoxygenation is mandatory
2. Cricoid pressure is applied
3. Positive pressure ventilation by bag and mask with small tidal volume
4. The neuromuscular blocker used is succinylcholine

Correct answer: 3. Positive pressure ventilation by bag and mask with small tidal volume

Explanation: Rapid Sequence induction /intubation Indication - emergency surgery, full stomach patient (Pregnancy is considered afull stomach,whererapid sequence induction is indicated if taken under general anesthesia) Aim - to prevent aspiration Steps 1. Preoxygenation 2. Cricoid pressure application 3. Intravenous thiopentone and intravenous succinylcholine 4. Positive pressure ventilation by bag and mask contraindicated 5. Laryngoscopy and intubation.